The type of mammary ductal carcinoma in situ (DCIS)most likely to result in a palpable abnormality in the breast is:
1. Neuroendocrine DCIS
2. Well differentiated DCIS
3. Comedo DCIS
4. Apocrine DCIS

Correct answer: 3. Comedo DCIS

Explanation: Ductal carcinoma in situ (DCIS) can be divided into two types: Comedo carcinomas and Non-comedocarcinomas DCIS are usually detected as calcifications on mammography but comedo carcinomas can present as palpable nodules. Ref : Robbins (big)8/e p1080